Which of the following statements regarding leukaemia  in pregnancy is false
1. Leukmias may arise from bone marrow.
2. Remission is common during pregnancy.
3. Termination of pregnancy will improve prognosis.
4. Leukemias are more common in women above 40years.

Correct answer: 3. Termination of pregnancy will improve prognosis.

Explanation: There is no evidence that pregnancy termination improves prognosis, however abortion is considered in early pregnancy to avoid teratogenesis.